Most common benign tumor of oesophagus is:
1. Lipoma
2. Leiomyoma
3. Hamartoma
4. Hemangioma

Correct answer: 2. Leiomyoma

Explanation: Ref: Robbins Pathologic Basis of Disease, 8th edition,Pages 772-4Explanation:BENIGN TUMORS OF ESOPHAGUSUsually mesenchymal in origin..Arise within the esophageal wall.Types of benign tumors:o Leiomyomas - Most common.o Fibromaso Lipomaso Hemangiomaso Neurofibromaso Lymphangiomas.Some benign tumors presents as mucosal polyps.These are usually composed of:o Fibrous and vascular tissue Fibrovascular polyps.o Adipose tissue - Pedunculated lipomas.Squamous papillomas are sessile lesions with a centra] core of connective tissue and a hyperplastic papilliform squamous mucosa.Papillomas are associated with HPV infection.Mass of inflamed granulation tissue, growing either as an inflammatory polyp or an infiltrative mass may resemble a malignant lesion (Inflammatory pseudotumors).